Doppler ultrasound in pregnancy detect :
1. Cardiovascular malformation
2. Neural tube defect
3. Abdominal masses
4. IUGR

Correct answer: 4. IUGR

Explanation: Ans. is d i.e. IUGR Doppler ultrasonography is a noninvasive technique to assess blood flow. It is useful for diagnosis of IUGR. "The utility of umbilical artery Doppler velocimetry was reviewed by the American College of obstetricians and gynecologists (1999, 2000). It was concluded that no benefit has been demonstrated other than in pregnancies with suspected fetal growth restriction. No benefit has been demonstrated for velocimetry for other conditions, such as post-term pregnancy, diabetes mellitus, systemic lupus erythematosus, or antiphospholipid antibody syndrome. Similarly, velocimetry has not proved of value as a screening test for detecting fetal compromise in the general obstetrical population".